True about Status marmoratus is all except
1. Present in basal ganglia
2. Associated with asphyxia
3. Have a marbled appearance
4. Unilateral

Correct answer: 4. Unilateral

Explanation: Status marmoratus is a congenital condition of corpus striatum associated with choreoathetosis .It is present in basal ganglia , and has marble like appearance and has bilateral hyperdensity areas in thalamus. Refer :